All are component of saint's triad Except ?
1. Renal Stones
2. Hiatus hernia
3. Diverticulosis coli
4. Gall stones

Correct answer: 1. Renal Stones

Explanation: Ans is a i.e. Renal Stones